Blood is not a newtonian fluid because:
1. Viscosity does not changing with velocity
2. Viscosity changes with velolcity
3. Density does not change with velocity
4. Density changes with velocity

Correct answer: 2. Viscosity changes with velolcity

Explanation: Blood is a non Newtonian fliud. Blood viscosity increases as the velocity decreases. Ref: Biofluid Mechanics By Jagannath Mazumdar, Page 79